A 14 year old boy present with headache, fever and cought for 2 days. Sputum is scant and non-purulent and gram stain reveals many whit cells but no organisms. The treatment should be initiated with:
1. Cefazolin
2. Erythromycin
3. Amikacin
4. Trovafloxacin

Correct answer: 2. Erythromycin

Explanation: (Ref: KDT 6/e p729) Diagnosis is atypical pneumonia and DOC is erythromycin.